The following are effective in the management of eczema:
1. Topical betamethasone
2. Topical alpha-tocopherol
3. Dithranol
4. Calcipotriol

Correct answer: 1. Topical betamethasone

Explanation: Topical corticosteroids are required both in 'wet' and 'dry' eczema. Betamethasone is a high-potency topical glucocorticoid. In mild wet eczema, the topical use of drying agents such as lotions of aluminium acetate or calamine are useful. When the lesions are dry and scaly the use of emollients combined with a keratolytic is beneficial. Nocturnal pruritus may be relieved by sedative antihistamines.